All are routes of transmission of Toxoplasma except
1. Blood transfusion
2. Feces
3. Urine
4. Transplacental

Correct answer: 3. Urine

Explanation: Toxoplasmosis is usually spread by Ingestion of parasites in undercooked meat Ingestion of oocysts from cat faeces Transplacental Blood transfusion REF:Jawetz microbiology 27th edition pg 708